Which of the following is not a seronegative spondyloarthropathy -
1. Psoriatic arthritis
2. Ankylosing spondylitis
3. RA
4. Reiters arthritis

Correct answer: 3. RA

Explanation: Ans. is 'c' i.e., RA Seronegative spondyloarthropathieso The seronegative spondyloarthropathies are a group of disorders that share certain clinical features and genetic associations.o The word seronegative referred to the absence of rheumatoid factor in this group of disorders,o The seronegative spondyloarthropathies include -Ankylosing spondylitisReactive arthritis - Reiter syndrome and enteritis associated arthritisPsoriatic arthritisArthritis associated with inflammatory bowel disease, i.e. enteropathic arthritis.